True about primary pulmonary hypoventilation is
1. Does not respond to chemical stimuli
2. Hypocapnoea and normal PaO2
3. Common in children
4. Respiratory alkalosis is diagnostic

Correct answer: 1. Does not respond to chemical stimuli